The constitution of soda lime is –
1. 5% Ca(OH)2, 95%NaOH
2. 5% NaOH, 95% Ca(OH)2
3. 5% KoH 95%NaOH
4. 100% Ca(OH)2

Correct answer: 2. 5% NaOH, 95% Ca(OH)2